CT finding of acute pancreatitis are all except –
1. Dilation of pancreatic duct
2. Fuzzy outline of pancreas
3. Peripancreatic fluid collection
4. Edematous pancreas

Correct answer: 1. Dilation of pancreatic duct

Explanation: Dilatation of pancreatic duct is a feature of chronic pancreatitis (not acute pancreatitis).
Edematous pancreas, fuzzy or shaggy outline of the pancreas and peripancreatic fluid collection are seen in acute pancreatitis.